which of the following is a cluster A personality disorder
1. schizoid
2. histrionic
3. borderline
4. narcisstic

Correct answer: 1. schizoid

Explanation: his is the most repeated question personality disorder are divided into several types and the knowledge of the classification of these disorders helps in answering a lot of questions CLUSTER A=== schizoid, paranoid, schizotypal CLUSTER B====histirionic, narcisstic, borderline, anti social CLUSTER C====anxious, anakastic, dependent Ref.Kaplon and Sadock, synopsis of psychiatry, 11 th edition, pg no.742